Countertransference is
1. Patient's feeling towards therapist
2. Doctor's feeling towards the patient
3. Psychic connection between patient and disease
4. Type of defence mechanism

Correct answer: 2. Doctor's feeling towards the patient

Explanation: TRANSFERENCE============during therapy unconscious direction of feelings from the patient to the therapist COUNTER TRANSFERENCE==== during therapy unconscious direction of feelings from the therapist to the patient Ref.Kaplon and sadock, synopsis of psychiatry, 11 th edition, pg no. 845